Addisons disease is associated with all except:
1. Cardiac atrophy
2. Decreased diastolic B.P.
3. Low renin levels
4. None

Correct answer: 3. Low renin levels

Explanation: Answer is C (Low Renin levels): Addison's disease is associated with increased plasma rennin activity. `Elevated plasma renin activity in Addison's disease indicates the presence of depleted intravascular volume and need for higher doses offludrocoisone replacement '- CMDT Addison's disease may be associated with cardiac Atrophy Addison's disease is associated with a small heart - CMDT 09 p1022 Addison's disease is associated with decreased diastolic BP Addison's disease is associated with both systolic and diastolic hypotension. Blood pressure may be in the range of 80/50 or less - Harrison Addison's disease is associated with serum cortisol < 3 mcg/dI Low plasma cortisol ( 200 pg/ml).